Acephalgic migraine is
1. Migraine without aura
2. Migraine with typical aura with headache
3. Migraine with typical aura with out headache
4. Migraine with brainstem aura

Correct answer: 3. Migraine with typical aura with out headache

Explanation: Patients with acephalgic migraine (typical aura without headache) experience recurrent neurologic symptoms, often with nausea or vomiting, but with little or no headache. Vertigo can be prominent; it has been estimated that one-third of patients referred for vertigo or dizziness have a primary diagnosis of migraine. Migraine aura can have prominent brainstem symptoms, and the terms basilar artery and basilar-type migraine have now been replaced by migraine with brainstem aura. Ref Harrison 20th edition page 3096, 3097 ( table 422-1)